There is no Lymphatic involvement in all of the following infection except
1. Actinomycosis
2. Ludwig's Angina
3. Erysipelas
4. Madura foot

Correct answer: 3. Erysipelas

Explanation: Erysipelas involves superficial Lymphatics.